The oculomotor and trochlear nerve passes through
1. The superior orbital fissure
2. The inferior orbital fissure
3. The optic canal
4. None of the above

Correct answer: 1. The superior orbital fissure

Explanation: Ans. (a) The superior orbital fissureRef : A.K. Khurana 6th ed. / 337, BDC 4th ed. Vol III, pg 25-6Superior orbital fissureInferior orbital fissureInferior orbital fissure* Occulomotor nerve* Abducent nerve* Nasociliary nerve* Lacrimal nerve* Frontal nerve* Trochlear nerve* Superior ophthalmic vein* Inferior ophthalmic vein* Zygomatic nerve* Maxillary nerve* Infraorbital vessel* Emissary vein *Optic nerve* Ophthalmic artery